Peak growth velocity in adolescent girl is indicated by?
1. Breast enlargment
2. Axillary hair
3. Public hair
4. Just before commensement of menarche

Correct answer: 4. Just before commensement of menarche

Explanation: Ans. is 'd' i.e., Just before commincement of menarche Mensus typically appears around the peak in height velocity -Nelson Menarche usually occurs after peak velocity has been attained and as the growth rate begins to decline. Remember o Growth acceleration begins in early adolescence, but peak growth velocities are not reached until middle adolescence.